Right side of mediastinal shadow is NOT formed by:
1. Superior vena cava
2. Right innominate
3. Right atrium
4. Right ventricle

Correct answer: 4. Right ventricle

Explanation: Ans. D i.e. Right ventricle Radiology of heart Right border of heart is formed by: - SVC/ Right brachiocephalic vessels, - IVC and - Right atrium Left border of heart is formed by: - Left atrial appendage, - Left ventricle, - Aortic arch and - Pulmonary artery